Vascular congestion over insertions of the rectus muscles (particularly lateral rectus) is seen in:
1. Lymphoma
2. Hemangioma
3. Graves ophthalmopathy
4. Trauma

Correct answer: 3. Graves ophthalmopathy

Explanation: Ans. Graves ophthalmopathy